Foster Kennedy syndrome is classically described inassociation with:
1. Craniopharyngioma
2. Pituitary adenoma
3. Olfactory groove meningioma.
4. Medulloblastoma

Correct answer: 3. Olfactory groove meningioma.

Explanation: Answer is C (Olfactory groove meningioma): Foster Kennedy syndrome is typically described in association with olfactory groove meningioma. The Foster Kennedy syndrome consisting of anosmia accompanied by unilateral ipsilateral optic atrophy and contralateral papilledema may be caused by any large baso-frontal or orbito-frontal tumors. It has typically been associated with olfactory groove or sphenoid ridge masses especially meningiomas and has classically been described in patients with olfactory groove meningiomas.